Which of the following is the activator of enzyme Sulfite oxidase?
1. Copper
2. Zinc
3. Molybdenum
4. Iron

Correct answer: 3. Molybdenum

Explanation: The active site of sulfite oxidase contains the molybdopterin cofactor and supports molybdenum in its highest oxidation state. Sulfite oxidase deficiency is an inborn error of the metabolism of sulfated amino acids and most commonly present in the neonatal period with intractable seizures, characteristic dysmorphic features, and profound intellectual disability.